The following is true of Naegele's pelvis :
1. Absence of one Ala
2. Both alae absent
3. Kyphotic spine
4. Triradiate pelvis

Correct answer: 1. Absence of one Ala

Explanation: Absence of one Ala